A 10 month old infant presents with intussesception, likely cause is
1. Meckel's diverticulum
2. Mucosal polyp
3. Peyer's patch hypertrophy
4. Duplication cyst

Correct answer: 3. Peyer's patch hypertrophy

Explanation: Most common cause of intussusception in children is hypertrophy of Peyer's patches due to Rotavirus infection.